A child is brought by mother with HO massive hemetemesis with HO drug intake previously with NSAIDS and on Rx. Associated with moderate splenomegaly diagnosis is
1. Oesophageal varices
2. Duodenal ulcer
3. Drug induced gastritis
4. Peptic ulcer

Correct answer: 1. Oesophageal varices

Explanation: Causes of portal hypertension

Pre sinusoidal
Extrahepatic (most commoon) :portal vein/splenic vein thrombosis,splenic AV fistula,massive splenomegaly.
Intrahepatic: sarcoidosis, schistosomiasis, congenital hepatic fibrosis, myeloproliferative disorders, nodular degenerative hyperplasia, idiopathic portal fibrosis.
Sinusoidal
Cirrhosis due to any cause.
Post sinusoidal
Budd chiari syndrome,right heart failure,constrictive pericarditis,web in inferior venacava.